Basic amino acids are
1. Lysine and Arginine
2. Serine and cystein
3. Phenylalanine and Tyrosine
4. Aspartic acid and Glutamic acid

Correct answer: 1. Lysine and Arginine

Explanation: (Lysine and Arginine) (47- U.Satyanarayan 3rd)Classification of Amino acids1.Amino acid with aliphatic side chains - Glycine, Alanine, valine, leucine and Isoleucine2.Hydroxyl group containing amino acids- Serine, threonine and tyrosine3.Sulfur containing amino acids - cysteine, methionine4.Acidic ami noacids - Aspartic acid, glutamic acid5.Basic amino acids - Lysine, arginine, histidine6.Aromatic amino acids - Phenyl alanine, tyrosine and tryptophan7.Imino acids - Proline